Which of the following in not a part of Epithalamus:
1. Pineal body
2. Posterior commissure
3. Trigonum Habenulae
4. Geniculate bodies

Correct answer: 4. Geniculate bodies

Explanation: D i.e. Geniculate body